Proteins are sorted by :
1. Golgi Bodies
2. Mitochondria
3. Ribosomes
4. Nuclear Membrane

Correct answer: 1. Golgi Bodies

Explanation: A i.e. Golgi bodies